A man presented with right sided moderate size pneumothorax without tension, Physical finding present as
1. Ipsilateral chest with bulge
2. Bronchial breathing
3. Mediastinal crunch
4. Subcutaneous crepitus

Correct answer: 1. Ipsilateral chest with bulge

Explanation: Ans A (Ipsilateral chest with bulge)Patients with small pneumothorax findings are:Decreased breath soundsDecreased vocal fremitusResonant percussion noteLarger pneumothrax:Tachypnea and distressBulge of affected hemithoraxImmobile during respirationVery large pneumothorax under tension:Severe respiratory distress DiaphoresisCyanosis HypotensionTraumatic pneumothorax:Subcutaneous emphysema